Charting of left lower canine is A/E
1. 33 in FDI
2. 43 in Modified FDI
3. 22 in Palmar notation
4. -3 in Haderup

Correct answer: 3. 22 in Palmar notation

Explanation: A. C i.e. 22 in palmar notation